Asthenozoospermia is
1. Increased abnormal forms of sperm
2. Decreased sperm motility
3. Absence of sperms in semen
4. Increased white cells in semen

Correct answer: 2. Decreased sperm motility

Explanation: Asthenozoospermia is decreased sperm motility.